Pharmacokinetics is-
1. Study of drug movement in the body
2. Study of drug effects
3. Study of drug responses, governed by heredity'
4. None of the above

Correct answer: 1. Study of drug movement in the body

Explanation: Ans. is 'a' i.e., Study of drug movement in the body Pharmakokineticso Pharmakokinetics is the quantitative study of drug movement, in through and out of the body,o That means, it is the study of the effect of body on the drug.o So, it is also known as ADME study as it deals with Absorption, Distribution, Metabolism and Excretion of a drug. RememberPharmacodynamics (D)- Drug does to bodyPharmacokinetics- Body does to drug.